Meena 45-years-old female presents with postcoital bleeding. On per speculum examination a friable mass is found in cervix. Next step in management is:
1. Colposcopy directed biopsy
2. 6 monthly pap smear
3. Only observation
4. Punch biopsy

Correct answer: 4. Punch biopsy